The blood culture from a patient of febrile neutropenia has grown Pseudomonas aeruginosa, It was found to be a producer of extended spectrum beta lactamase enzyme. The best choice of antimicrobial therapy should be -
1. Ceftazidine + amikacin
2. Aztreonam +Amikacin
3. Cefpirome + amikacin
4. Imipenem +Amikacin

Correct answer: 4. Imipenem +Amikacin

Explanation: Ans. is 'd' i.e., Impipenem + Amikacin